Which method is used for safe disposal of Mercury?
1. Bury under earth
2. Collect carefully & reuse
3. Combustion
4. Treatment with Chemical

Correct answer: 2. Collect carefully & reuse

Explanation: Collect carefully and reuse is the correct method for safe disposal of Mercury.